Cells present in Cerebellar cortex are all except:
1. Purkinje
2. Bipolar
3. Granule
4. Golgi

Correct answer: 2. Bipolar

Explanation: Bipolar There are 5 types of neurons present in cerebellar cortex:- Granule cell- Golgi cell- Basket cell - Stellate cell- Purkinje cellBipolar neurons are less common. A single axon and dendrite arise at opposite poles of the cell body. Their cell bodies are located in the retina, the olfactory epithelium, and the cochlear and vestibular ganglia.